45 yrs old Ramlal has intra-abdominal sepsis. The causative organism was found to be vancomycin, gentamycin and ampicillin resistant. It grows well in presence of 6.5% NaCI and arginine. Bile esculin hydrolysis is positive. Which of the following is the organism? -
1. Streptococcus agalactiae
2. Enterococcus fecalis
3. Streptococcus bovis
4. Streptococcus pneumoniae

Correct answer: 2. Enterococcus fecalis